Which of the following is not true about non contrast CT scan in head injury?
1. Subdural hematoma increase in density over lesional CT scans over weeks
2. Extra dural haematomas are usually lens shaped
3. Acute subdural hematoma appears as crescent shadow of increased density
4. Subarachnoid haemorrhage appears as areas of increased density in basilar cisterns

Correct answer: 1. Subdural hematoma increase in density over lesional CT scans over weeks

Explanation: Ans. Subdural hematoma increase in density over lesional CT scans over weeks